Deficiency of zinc causes all except ?
1. Diarrhea
2. Acrodermatitis
3. Vitamin A deficiency
4. Neuropathy

Correct answer: 4. Neuropathy

Explanation: Ans. is 'd' i.e., Neuropathy*Zinc is found in skeletal muscle and in bones, Sources of Zinc are grains, beans, cheese, Shell fish*Zinc is absorbed from duodenum, stored in liver in conjugation with metallothionein**Zinc is necessary for synthesis of Retinol Binding Protein.Hence Zinc deficiency is found to present with Vitamin A deficiency